Myospasm that is involuntary continuous contraction of a muscle due to overstretching which is already strained
because of sustained mouth opening during RCT is
1. Charley horse
2. Ercess expand
3. Muscle tear
4. Hardy stretch

Correct answer: 1. Charley horse